MIDAS question are is used in assessment of
1. Severity of weakness in stroke
2. Disability in migraine
3. Memory in alzheimers disease
4. Tremors in parkinsons disease

Correct answer: 2. Disability in migraine

Explanation: Once a diagnosis of migraine has been established, it is important to assess the extent of a patient's disease and disability. The Migraine Disability Assessment Score (MIDAS) is a well-validated, easy-to-use tool . Migraine Disability Assessment Score Five questions related to headache severity are used in assessment Grade I--Minimal or Infrequent Disability: 0-5 Grade II--Mild or Infrequent Disability : 6-10 Grade III--Moderate Disability : 11-20 Grade IV--Severe Disability : > 20 Ref Harrison 20th edition page 3098, 3100(table 422-4)